Multiple myleoma is characterized by all except
1. Presence of light chains
2. Monoclonal gammopathy
3. Polyclonal gammopathy
4. Hypergammaglobulinemia

Correct answer: 3. Polyclonal gammopathy